Health care worker is
1. X ray technician
2. Hospital electrical engineer
3. Staff nurse
4. All the above

Correct answer: 4. All the above

Explanation: Ref:Park's Textbook of Preventive and Social Medicine 25th Ed